Which of the following cell is NOT a labile cell?
1. Cornea
2. Epidermal cells
3. Small intestine mucosa
4. Hepatocytes

Correct answer: 4. Hepatocytes

Explanation: Hepatocytes are stable cells. All the remaining are labile cells. Stable cells are tissues that normally renewed very slowly but contain progenitor cells capable of more rapid renewal after tissue loss. The liver and the proximal renal tubules are examples for stable cell populations. Stable cells populate tissues in which fewer than 1.5% of the cells are in mitosis. Such tissues (e.g., endocrine glands, endothelium, liver) do not have conspicuous stem cells. Labile cells are found in tissues that are in a constant state of renewal. Tissues in which more than 1.5% of the cells are in mitosis at any one time are composed of labile cells. These include epithelia of the gut, skin, cornea, respiratory tract, reproductive organs, and urinary system. Ref: Essentials of Rubin's Pathology By Howard Reisner, 2013, Page 64.